Which of the following coding system used in ICD-10 is used for "Schizophrenia, schizotypal and delusional disorders"?
1. F10-F19
2. F20-F29
3. F30-F39
4. F40-F48

Correct answer: 2. F20-F29

Explanation: Mental and behavioural disorders due to psychoactive substance use F10-F19Schizophrenia, schizotypal, delusional, and other non-mood psychotic disorders F20-F29Mood disorders F30-F39Anxiety, dissociative, stress-related, somatoform and other nonpsychotic mental disorders F40-F48(Ref: ICD-10 WHO)